During a routine checkup a 70 year old mate is found to have Serum Alkaline Phosphatase three times the upper limit of norrnal. Serum Calcium, Serum Phosphorous and liver function tests are normal. The most likely diagonsis is
1. Primary hyperparathyroidism
2. Paget's disease of the bone
3. Osteomalacia
4. Metastatic bone disease

Correct answer: 2. Paget's disease of the bone